Cause of obstructive jaundice is-
1. Cystic duct stone
2. CBD stone
3. Hepatitis
4. Liver cirrhosis

Correct answer: 2. CBD stone

Explanation: Ans. is 'b' i.e., CBD stone